Pseudoglioma differs from Retinoblastoma in that pseudoglioma is associated with
1. Decreased intraocular pressure
2. Blurring of vision
3. Enlargement of the optic foramen
4. All of the above

Correct answer: 1. Decreased intraocular pressure

Explanation: A i.e. Decreased intraocular pressure